Side effects of hyperbaric oxygen therapy are all except
1. Absorption atelectasis
2. Increased pulmonary compliance
3. Decreased vital capacity
4. Endothelial damage

Correct answer: 2. Increased pulmonary compliance

Explanation: Answer- B. Increased pulmonary complianceCNS toxicity (Be effect) :- The acute oxygen toxicity has predominant CNS effect.Pulmonary toxicity (Smith effect) :- The chrronic oxygen toxicity has predominant pulmonary effect.Ocular effects :- Retrolental fibroplasia (Retinopathy of prematurity).